Which of the following about DURHAMS PIN is true -
1. It is used to give skeletal traction
2. It has threads in the center of pin
3. It is used to give skeletal traction through calcaneum
4. All of the above

Correct answer: 4. All of the above

Explanation: IMAGE SHOWS DURHAMS PIN USED IN SKELETAL TRACTION REF : maheswari 9th ed